Laryngeal skeleton has -cartilages-
1. 3 paired, 2 unpaired
2. 3 paired, 3 unpaired
3. 2 paired, 3 unpaired
4. 2 paired, 2 unpaired

Correct answer: 2. 3 paired, 3 unpaired

Explanation: Larynx has total 9 cartilages : 3 paired and 3 unpaired.